In which condition breath sounds are absent:
1. Bronchial asthma
2. Pneumothorax
3. Emphysema
4. Pneumonia

Correct answer: 2. Pneumothorax